Gluten sensitive enteropathy is strongly associated with:
1. Blood group B
2. HLA-DQ3
3. HLA-DR4
4. HLA-DQ2

Correct answer: 4. HLA-DQ2

Explanation: Gluten enteropathy/Celiac Sprue It is associated with HLA -DQ2 Due to auto Ab against brush border epithelium which is present in the gut mucosa Clinical Feature-Osmotic diarrhoea Auto ab: Anti tissue transglutaminase Ab - Screening test Small intestinal mucosal Biopsy - Confirmatory test Treatment: No 'BROW'(Barley, Rye, Oats, Wheat) Only maize is allowed